Coenzyme in decarboxylation reaction:
1. Niacin
2. Biotin
3. Pyridoxine
4. Riboflavin

Correct answer: 3. Pyridoxine

Explanation: Ans. C. PyridoxineCoenzyme for carboxylation reaction--BiotinCoenzyme for decarboxylation--PyridoxineCoenzyme for decarboxylation reactions of Alpha Ketoglutate dehydrogenase and Branched chain Ketoacid dehydrogenase-- Thiamine.